Which of the following is characteristically associated with proliferative diabetic retinopathy:
1. Cotton wool spots
2. Papilloedema
3. Soft exudates
4. Neovascularization

Correct answer: 4. Neovascularization

Explanation: Ans. D: Neovascularization In proliferative diabetic retinopathy, the neovascularization arises from the optic nerve head; there is neovascularization of the disc and along the large vessels, as well as neovascularization elsewhere